Four months after a blast injury, a middle aged man developed siderosis bulbi. It is due to:
1. Iron
2. Copper
3. Gold
4. Selenium

Correct answer: 1. Iron

Explanation: Siderosis bulbi: It refers to the degenerative changes produced by an iron foreign body. Siderosis bulbi usually occurs after 2 months to 2 years of the injury. In this process, the epithelial structures of the eye are most affected. Clinical manifestations: Cataract Iris is first stained greenish and later on turns reddish brown Retina develops pigmentary degeneration which resembles retinitis pigmentosa Secondary open angle type of glaucoma Ref: Comprehensive Ophthalmology by A K Khurana, 4th edition, Page 410.